Which pulse is felt to check for return of pulse in CPCR:-
1. Carotid pulse
2. Femoral pulse
3. Brachial pulse
4. Any pulse

Correct answer: 1. Carotid pulse

Explanation: Carotid pulse is felt for not more than 10 sec. In pediatric - carotid pulse or femoral pulse can also is felt. in infant - only brachial pulse is felt